All are yeast-like fungi except
1. Malassezia furfur
2. Candida
3. Trichophyton
4. None of the above

Correct answer: 3. Trichophyton

Explanation: Trichophyton is a dermatophyte which is a mould. Malassezia furfur is a lipophilic yeast like fungi. Reference: Textbook of Microbiology; Baveja; 4th edition